In the heterosexual transmission (from infective to non infective partner) of Human Immuno-deficiency Virus infection (HIV) -
1. There is a greater risk of transmission from man to a woman
2. There is greater risk of transmission from woman to man
3. Risk is equal either ways
4. HIV infection is not transmission by heterosexual act

Correct answer: 1. There is a greater risk of transmission from man to a woman